One of the following is a midline neck swelling
1. Carotid body tumor
2. Thyroglossal cyst
3. Branchial cyst
4. Cystic hygroma

Correct answer: 2. Thyroglossal cyst

Explanation: Midline swelling of the neck from above downwards Ludwigs angina Enlarged submental lymph nodes Sublingual dermoid Lipoma in the submental region Thyroglossal cyst Subhyoid bursitis Goitre Lipoma & enlarged lymph nodes in the suprasternal space of burns Retrosternal goitre Thymic swelling (A dermoid cyst may occur anywhere in the midline) Ref : Bailey & Love 25/e p729